Which is the only local anaesthesia which raises the BP:
1. Lignocaine
2. Cocaine
3. Prilocaine
4. Lidocaine

Correct answer: 2. Cocaine

Explanation: Cocaine increases BP by inhibiting the reuptake of catecholamines.